Most root canals that have not been instrumented are too narrow to be reached effectively by
1. Microbes
2. Disinfectants
3. Gutta percha
4. None of the above

Correct answer: 2. Disinfectants